Highly lipid soluble agent would be associated with –
1. Potent anaesthetic action
2. Potent analgesic action
3. Excellent muscle relaxant action
4. Least respiratory depression

Correct answer: 1. Potent anaesthetic action

Explanation: High lipid solubility (high oil-gas partition coefficient) indicates high potency.